Metrorrhagia is
1. Heavy menstrual bleeding
2. Intermenstrual bleeding
3. Break through bleeding
4. Post coital bleeding

Correct answer: 2. Intermenstrual bleeding

Explanation: The term intermenstrual bleeding is updated nomenclature for metrorrhagia.